A 70 years males presented with asymptomatic white patch on oral cavity following application of the denture. Treatment of choice is
1. Low dose radiotherapy
2. Biopsy of the all the tissues
3. Ascertaining the denture is fit in completely
4. Antibiotics

Correct answer: 3. Ascertaining the denture is fit in completely

Explanation: Leukoplakia White keratotic plaque or patch that cannot be rubbed off and cannot be given another diagnostic name Risk factors Smoking Alcohol Ill-fitting dentures Jagged tooth Ref: Bailey and love 27th edition Pgno :761-762